The lethal dose of fluoride for 70 kg adult is:
1. 32-64 mg of fluoride/kg body weight
2. 50-60 mg of fluoride/kg body weight
3. 30-70 mg of fluoride/kg body weight
4. 60-80 mg of fluoride/kg body weight

Correct answer: 1. 32-64 mg of fluoride/kg body weight

Explanation: CERTAINLY LETHAL DOSE (CLD) : 32 - 64 mg of fluoride/kg body wt.
SAFELY TOLERATED DOSE (STD) : 8 - 16 mg of fluoride/kg body wt.
Ref: Soben peter 5th edition pg no:280